Which one of the following statements about Graves' disease is FALSE?
1. Results in hyperthyroidism
2. Autoimmune disorder
3. Common in Male
4. Referred as Toxic diffuse goitre

Correct answer: 3. Common in Male

Explanation: (C) Common in male [?]GRAVES' DISEASE:oAutoimmune system disorderoBoth men and women get affected;#Yet, 10 times more common in women than men#Affects younger women <40 years#Results in overproduction of thyroid hormones (hyperthyroidism).#Signs and symptoms:-Anxiety, Irritability, Heat sensitivity-Increased perspiration/ warm and moist skin-Weight loss-Goiter (Glandular enlargement)-Menstrual cycle changes-Erectile dysfunction/reduced libido-Graves Ophthalmopathy - Bulging eyes - Exophthalmos-Graves dermopathy - Thick, red skin on shins/top of feet.#Antibody for graves disease - Thyrotropin receptor antibody (TRAb) acts on the regulatory pituitary hormone interfering the normal secretion of thyroxine.#TRA boverrides normal regulation causing an overproduction of thyroid hormones (hyperthyroidism).RISK FACTORS FOR GRAVES' DISEASEFactorDescriptionFamily historyThere is likely a gene or genes that can make a person more susceptible to the disorderGenderRisk is about 8 times higher in women than in menAgeUsually develops in those aged <40 yearPregnancyBeing pregnant or recent childbirth may increase the risk of the disorder, particularly among women who are genetically susceptibleHistory of autoimmune diseasePeople with other immune system disorders, such as type 1 diabetes mellitus or rheumatoid arthritis, have an increased riskSmokingCigarette smoking can affect the immune system and increase the risk of Graves' disease. Smokers are also at increased risk of developing Graves' ophthalmopathyEmotional or physical stressStressful life events or illness may act as a trigger for the onset of Graves' disease among people who are genetically susceptible SIGNS & SYMPTOMS OF GRAVES' DISEASE GENERAL & OPHTHALMICGeneralOphthalmic*. Fatigue*. Eyelid retraction*. Goiter*. Lid lag*. Heat intolerance*. Stare*. Increased GI motility Muscle weaknessDermatologic*. Weight loss with increased appetite*. Pruritus *. Smooth skinPsychological*. Sweating Warm, moist skin*. Anxiety DepressionNeuromuscular*. Irritability*. Hyperactive deep tendon reflex*. Nervousness*. TremorCardiovascularReproductive*. Atrial fibrillation**. Erectile dysfunction*. Palpitations*. Gynecomastia*. Systolic ejection murmur*. Irregular menses